Myosin filament has a fixed length of
1. 0.16nm
2. 1.6 microm
3. 16nm
4. 1.6mm

Correct answer: 2. 1.6 microm

Explanation: Myosin filament is about 1.6 micrometers in length Ref:Guyton and Hall textbook of medical physiology 12th edition,page number:85,86,87,88